Lipoprotein associated with carrying cholesterol from periphery tissues to liver is ?
1. HDL
2. LDL
3. VLDL
4. 1DL

Correct answer: 1. HDL

Explanation: Ans. is 'a' i.e., HDL